A Postmenopausal woman who is obese, hypertensive and diabetic, presents with postmenopausal bleeding. The probable cause is:
1. Malignant ovarian tumour
2. Endometrial cancer
3. Endocervical cancer
4. Brenner tumour

Correct answer: 2. Endometrial cancer

Explanation: Risk factors for Ca Endometrium: Nulliparity Late menopause Obesity Overweight women Diabetes mellitus Unopposed estrogen therapy Tamoxifen therapy Atypical endometrial hyperplasia Lynch II syndrome. Corpus Cancer Syndrome- Diabetes mellitus ,HTN, Obesity Clinical feature Irregular Acyclical bleeding Post Menopausal bleeding Pyometra